Hypersegmented neutrophils are seen in
1. Thalassemia
2. Iron deficiency
3. Megaloblastic anemia
4. All

Correct answer: 3. Megaloblastic anemia

Explanation: Ans. (c) Megaloblastic anemia